Not a sign/symptom of aconite poisoning:
1. Pain abdomen
2. Bradycardia
3. Hypertension
4. Diplopia

Correct answer: 3. Hypertension

Explanation: Ans. Hypertension